Sequestrated lobe of the lung is commonly supplied by
1. Descending aorta
2. Pulmonary artery
3. Intercostal artery
4. Bronchial artery

Correct answer: 1. Descending aorta

Explanation: BRONCHOPULMONARY SEQUESTRATION
Sequestration is the presence of lobes or segments of lung tissue which are not connected to the airway system. The
blood supply of the sequestered area is not from the pulmonary arteries but from the aorta or its branches.
Sequestration may be intralobar or extralobar.
 Intralobar sequestration is the sequestered bronchopulmonary mass within the pleural covering of the affected lung.
Extralobar sequestration is the sequestered mass of lung tissue lying outside the pleural investing layer such as in the
base of the left lung or below the diaphragm. The extralobar sequestration is predominantly seen in infants and children
and is often associated with other congenital malformations.